The type of tertiary dentin which contains cellular inclusions is found in
1. Sclerotic dentin
2. Mantle dentin
3. Predentin
4. Osteodentin

Correct answer: 4. Osteodentin